True about blood pressure measurement is all, except
1. Cuff width should be 40% of arm circumference
2. Diastolic blood pressure is indicated by fourth Korotkoff sound
3. Small cuff measures spuriously elevated Diastolic blood pressure
4. Monkenberg sclerosis causes pseudohypertension

Correct answer: 2. Diastolic blood pressure is indicated by fourth Korotkoff sound

Explanation: In the point at which systolic pressure in the artery just exceeds the cuff pressure, a spurt of blood passes through with each heartbeat and, synchronously with each beat, a tapping sound is heard below the cuff. The cuff pressure at which the sounds are first heard is the systolic pressure. As the cuff pressure is lowered further, the sounds become louder, then dull and muffled. These are the sounds of Korotkoff Ref: Ganong's Review of Medical Physiology Twenty-Third Edition Page No:545